How is primary amoebic meningoencephalitis most likely acquired?
1. Diving or swimming in contaminated water
2. Intravenous drug abuse
3. Using human excrement as vegetable feilizer
4. Eating raw fish or seafood

Correct answer: 1. Diving or swimming in contaminated water

Explanation: PRIMARY AMOEBIC ENCEPHALITIS :- - Infection spreads post swimming in contaminated water. - Enters Olfactory mucosa in nose Treatment: Miltefosine + Amphotericin B